Paracervical block relieves pain from all but one of the following:
1. Pain from dilatation of the cervix
2. Uterine pain
3. Relives pain from the lower third of vagina and episiotomy can be performed
4. Relieve pain from the upper third of vagina

Correct answer: 3. Relives pain from the lower third of vagina and episiotomy can be performed

Explanation: Paracervical block relieves pain from upper third of Vagina, not lower third.